True about frank breech:
1. Mostly associated with congenital anomaly
2. Footling presentation
3. ECV should be done at 36 to 37 weeks
4. Has hip extended and knee flexed

Correct answer: 3. ECV should be done at 36 to 37 weeks

Explanation: Frank breech is the most common type of breech It has hips flexed and legs extended Footling presentation is associated with Incomplete breech ECV is done at 36 to 37 weeks. If ECV is done before 36 weeks there is a chance of the position changing back to breech or the patient may go into preterm labour If done after 37 weeks - chances of successful version are less as fetal size is more and liquor is relatively less.